Which is the motor supply of diaphragm?
1. Phrenic nerve
2. Thoracodorsal nerve
3. Intercostals
4. Sympathetic nerves

Correct answer: 1. Phrenic nerve

Explanation: Ans. A Phrenic nerveRef: BDQ 6th ed. Vol 1 pg. 192NERVE SUPPLY OF DIAPHRAGM* Motor supply: Phrenic nerve* Sensory supply:# Peripheral part: Lower 6 intercostal nerves# Central part: Phrenic nerve